The cardiovascular side effect of Dexmedetomidine is following
1. Hypotension and Bradycardia
2. Hypertension and Tachycardia
3. Hypotension and Tachycardia
4. Hypertension and Bradycardia

Correct answer: 1. Hypotension and Bradycardia

Explanation: Dexmetetomidine is a highly selective alpha2 - adrenoceptor against thus can cause hypotension and Bradycardia. Dexmedetomidine * Highly selective alpha - 2 adrenoreceptor agonist * Used mainly as IV adjunct during induction and /or maintenance of general anesthetics * Minimal respiratory and cardiovascular depression * Good sedation , good analgesic, sympatholytic effects * Selectivity for alpha1: alpha 2 receptors is 1:1640